RNA with Enzymatic activity is
1. Peptidase
2. Peptidyl transferase
3. Cytidine deaminase
4. Aminoacyl tRNASynthetase

Correct answer: 2. Peptidyl transferase

Explanation: Interestingly, some RNA molecules have intrinsic catalytic activity. The activity of these RNA enzymes, or ribozymes, often involves the cleavage of a nucleic acid. Two ribozymes are the peptidyl transferase that catalyzes peptide bond formation on the ribosome, and ribozymes involved in the RNA splicing.Ref: Harper's; 30th edition; Page no: 363